All of the following are Nondepolarising muscular blockers Except
1. Pancuranium
2. Dexacurium
3. D-Tubocurarine
4. Succinylcholine

Correct answer: 4. Succinylcholine

Explanation: (Refer: Morgan and Mikhail's Clinical Anaesthesiology, 5th edition, pg no.205-211)